In Thyrotoxicosis, β-blockers do not control-
1. Anxiety
2. Termors
3. Tachycardia
4. Oxygen consumption

Correct answer: 4. Oxygen consumption